Arrange the drug in decreasing order of antiplatelet potency a. Clopidogrel b. Prasugrel c. Aspirin d. Abciximab
1. b>d>c>a
2. c>d>a>b
3. d>b>a>c
4. a>d>c>b

Correct answer: 3. d>b>a>c

Explanation: Order of potency -Abciximab > Prasugrel >Clopidogrel > Aspirin